A patient having prinzmetal angina is started with ISMN. Patient got symptomatic relief from angina. What is the MOA?
1. Endothelium independent coronary vasodilatation
2. Reduced cardiac contractility
3. Increased left ventricular end diastolic volume
4. Decreased diastolic perfusion pressure

Correct answer: 1. Endothelium independent coronary vasodilatation

Explanation: ANS. A# Important points on nitrates1. All nitrates have high FPM metabolism except ISMN (Isosorbide mononitrate)2. Skin rashes are maximum with Pentaerythritol tetranitrate3. Nitrates used in acute attack: NTG and ISDN (Isosorbide dinitrite)